Most common second malignancy in patients with familial retinoblastoma is:
1. Teratoma
2. Medullary carcinoma
3. Osteosarcoma
4. Malignant melanoma

Correct answer: 3. Osteosarcoma

Explanation: Ans. Osteosarcoma